NAD+ is reduced to NADH + H+ by dehydrogenases of all the following substrates, Except
1. Pyruvate
2. Glyceraldehyde-3-phosphate
3. Malate
4. Succinate

Correct answer: 4. Succinate

Explanation: Reference: Harper's Biochemistry; 30th edition; Chapter 8; Enzyme kinetics